Which of the following ultrasound marker is associated with greatest increased risk for Trisomy 21 in fetus:
1. Echogenic foci in heart
2. Hyperechogenic bowel
3. Choroid plexus cysts
4. Nuchal skin fold

Correct answer: 4. Nuchal skin fold

Explanation: Increased nuchal skin fold confers the highest risk of aneuploidy and is the most powerful second trimester ultrasound marker, > 99% specificity for Down Syndrome. The probability of Down Syndrome is increased when multiple soft markers are present.